Binswanger disease is a form of?
1. Hypertensive retinopathy
2. Hypertensive nephropathy
3. Hypertensive encephalopathy
4. subcortical leukoencephalopathy

Correct answer: 4. subcortical leukoencephalopathy

Explanation: Ans. (d) Subcortical leukoencephalopathy(Ref: International Neurology textbook pg 12)Binswanger's disease (also known as subcortical leukoencephalopathy), also called subcortical vascular dementia, is a type of dementia caused by widespread, microscopic areas of damage to the deep layers of white matter in the brain Hypertension and old age are risk factors.